The thick mucous coat is -
1. Protective in ulcer patients
2. Not protective in ulcer patients
3. Easily destroyed by antacids
4. Commonly associated with carcinomatous change

Correct answer: 1. Protective in ulcer patients

Explanation: Surface mucus layer acts as a defensive force and protects against peptic ulceration.